Which of the following cyanotic heart diseases is associated with left axis of deviation and left ventricular hypertrophy?
1. Transposition of great vessels
2. Trancus arteriosus
3. Tricuspid atresia
4. Total anomalous pulmonary venous drainage

Correct answer: 3. Tricuspid atresia

Explanation: In tricuspid atresia there will be left axis deviation and left ventricular type apical impulse Ref : Ghai essential of pediatrics, eighth edition, p.no:423